Basal ganglia calcification is seen in all, EXCEPT:
1. Hypoparathyroidism
2. Wilson's disease
3. Perinatal hypoxia
4. Fahr's syndrome

Correct answer: 2. Wilson's disease

Explanation: There is no association between the neurological manifestations of Wilson's disease and basal ganglia calcification. Ref: Wilson's Disease By George J. Brewer; Pages 3 - 5; Differential Diagnosis in Neurology and Neurosurgery By S. Tsementzis.